Pollicization can be best described as -
1. Toe to thumb transfer
2. Thumb reconstruction
3. Finger shortening
4. Amputation of thumb

Correct answer: 2. Thumb reconstruction

Explanation: severely mutilated hand should be dealt with by a hand expert. If all the fingers have been lost but the thumb is present, a new finger can sometimes be constructed with cortical bone, covered by a tubular f lap of skin; an alternative is a neurovascular microsurgical transfer from the second toe. If the thumb has been lost, the options include POLLICIZATION (rotating a finger to oppose the other fingers), second toe transfer and osteoplastic reconstruction (a cortical bone graft surrounded by a skin flap). REF:Apley's system of orthopaedics- 9th edn - pg no 803.